Enamelin
1. Largest non amelogenin protein
2. Helps in nucleation
3. Secreted at mineralization front
4. All of the above

Correct answer: 4. All of the above